The most common benign tumor of the lung is
1. Hamartoma
2. Alveolar adenoma
3. Teratoma
4. Fibroma

Correct answer: 1. Hamartoma

Explanation: The most common benign lung tumor is a hamartoma,a developmental abnormality containing mesothelial & endothelial elements.Diagnosis is achieved by excision of the lesion. Reference:Bailey & Love's short practise of surgery,25th edition,page no:891